Following is true about the incidence of tumors of salivary glands except -
1. Pleomorphic adenoma - 50%
2. Oncocytoma - 5%
3. Warthins tumor - 5 - 10%
4. Mucoepidercmoid carcinoma - 15%

Correct answer: 2. Oncocytoma - 5%

Explanation: Ans. is 'b' i.e., Oncocytoma - 5% Histologic classification and incidence of the most common benign andmalignant tumors of the salivary glandsBenignMalignantPleomorphic adenoma (50%) (mixed tumor)Mucoepidermoid carcinoma (15%)Warthin tumor (5% - 10%)Adenocarcinoma (NOS) (10%)Oncocytoma (1%)Acinic cell carcinoma (5%)Other adenomas (5%-10%) Basal cell adenoma Canalicular adenomaMalignant mixed tumor (3%-5%) Squamous cell carcinoma (1%)Ductal papillomasOther carcinomas (2%)